Which of the following statements regarding toxicity of local anesthetics is false?
1. The first signs of toxicity are dizziness, tinnitus, and nystagmus
2. Systematic convulsions are rare and usually self- limited
3. Most allergic reactions are to aminoamide compounds
4. For patients allergic to local anesthetics, diphenhydramine hydrochloride 1% can be injected into the wound.

Correct answer: 3. Most allergic reactions are to aminoamide compounds

Explanation: Most allergic reactions are to aminoamide compounds * Slow injections limit the chance for local anesthetic toxicity. When history of allergy is uncertain, an antihistamine such as diphenhydrarnine injected directly into the wound can be used as an alternative and achieves anesthesia in approximately 30 mm. * True allergic reactions to local anesthetics are rare, especially to aminoamide compounds such as lidocaine and bupivicaine. The ester derivatives of paraaminobenzoic acid, such as procaine, are responsible for most local anesthetic allergic reactions. * Toxicity should be suspected in patients who complain of dizziness, tinnitus, and periorbital tingling. Rarely, systemic convulsions follow. * These are usually self-limited because of rapid redistribution of the drug, with resultant lower serum levels.